All are involved in metabolism of vitamin D except
1. Liver
2. Kidney
3. Skin
4. Lungs

Correct answer: 4. Lungs

Explanation: Vitamin D is a fat-soluble vitamin chemically related to the steroids and essential for the normal formation of bones and teeth and for the absorption of calcium and phosphorus from the GI tract.Vitamin D is synthesized in the skin upon exposure to ultraviolet light;.vitamin D synthesized in the skin are metabolized to 25-hydroxyvitamin D in the liver, and then to the active 1,25 dihydroxy form in the kidney. Vitamin D has a major role in the intestinal absorption of calcium, bone calcium balance and renal excretion of calcium.Ref: Ganong's review of medical physiology; 24th edition; page no-379